True statement regarding use of antiepileptic drugs in pregnancy:a) Valproate is associated with NTDb) Multiple drug should be givenc) Carbamazepine is used as monotherapyd) Phyenytoin can produce foetal hydantoin syndrome
1. abc
2. acd
3. bc
4. bde

Correct answer: 2. acd

Explanation: can produce foetal hydantoin syndrome
Drug and associated abnormalities